A 30 years old patient with CSF leak is presenting with neck rigidity, fever and seizures. What could be the probable infective agent -
1. Streptococcus pneumoniae
2. N. meningitidis
3. Listeria monocytogenes
4. Ecoli

Correct answer: 1. Streptococcus pneumoniae

Explanation: Ans. is 'a' i.e., Streptococcus pneumoniae * Streptococcus pneumoniae is the most common cause of meningitis in adults older than 20 years of age.* A number of predisposing conditions increase the risk of pneumococcal meningitis, the most common of which is pneumonia.* Additional risk factors include alcoholism, acute and chronic otitis media, diabetes, splenectomy, hypogamaglobulinemia and head trauma with basilar skull fracture and CSF leak.